Minimum age at which female can give consent for sex by what age ?
1. 15 yrs
2. 18 yrs
3. 16 yrs
4. 21 yrs

Correct answer: 2. 18 yrs

Explanation: Ans:B.)18 years. Explanation:The Criminal Law (Amendment) Act, 2013:The age of consent in India has been increased to 18 years, which means any sexual activity irrespective of presence of consent with a woman below the age of 18 will constitute statutory rape.